Low risk type of HPV
1. Type-16
2. Type-6
3. Type-18
4. Type-31

Correct answer: 2. Type-6

Explanation: HPV Human papilloma virus More than 200 types known .100 have been sequenced. These virus invade squamous epithelium and trigger cell proliferation. Viruses mainly being transmitted by fomites ,scratching, and auto inoculation. Low risk type-6 and 11 {Reference: IADVL textbook of dermatology, vishalakshi Vishwanath pg no.67.}